hyponatremia is a side effect of
1. olanzapine
2. lithium
3. carbamezepine
4. clonazepam

Correct answer: 3. carbamezepine

Explanation: - SIDE EFFECTS OF THE DRUG - APLASTIC ANEMIA - AGRANULOCYTOSIS - Hyponatremia - Steven Johnson's syndrome - Liver enzyme elevation - It has teratogenic potential Ref. kaplon and sadock, synopsis of psychiatry, 11 th edition, pg no. 955